Element most commonly used in brachytherapy of carcinoma cervix:
1. Carbon
2. Technetium
3. Nitrogen
4. Cesium

Correct answer: 4. Cesium

Explanation: Ans. D: Cesium